Partogram is not used to monitor -
1. Cervical dilatations
2. Uterine contractions
3. Fetal lung maturity
4. Descent of head

Correct answer: 3. Fetal lung maturity

Explanation: Partograph

It is a composite graphical record of key data (maternal & fetal) during labour entered against me on a single sheet of paper.
Components Paentidenficaon Time -recorded at hourly interval Fetal heart rate -
recorded at every 30 minutes State of membranes & colour of liquor -
to mark T for intact membranes, 'C' for clear & 'M’ for meconium-stained liquor Cervical dilation & descent of the head Uterine contractions Drugs & fluids Blood pressure -
every 2 hrs & pulse rate at every 30 minutes Oxytocin Urine analysis Temperature record